All of the following are true for occupational lead poisoning except
1. lead poisoning is not a notifiable disease
2. lead in blood and urine provide quantitative indicators of exposure
3. inhalation is the most common mode of absorption
4. Basophilic stippling is a sensitive parameter of hematological response

Correct answer: 1. lead poisoning is not a notifiable disease